Acantholysis is due to destruction of –
1. Epidermis
2. Subepidermis
3. Basement membrane
4. Intercellular substance

Correct answer: 4. Intercellular substance

Explanation: Acantholysis occurs in → epidermis
Acantholysis is due to destruction of → Intercellular substance containg desmoglein.